Which of the nerve fiber carry pain:
1. A-Alpha
2. A-Beta
3. A-Gamma
4. C-fibers

Correct answer: 4. C-fibers

Explanation: Ans. D C-fibersRef: Gationg, 25th ed. pg. 94; Guyton Physiology, 11th ed. pg. 576-577* Pain is carried by A d and C fibres* General classification of Nerve Fibers# In the general classification, the fibers are divided into types A, B and C. Type A fibers are further subdivided into abg and d fibers.# Type A fibers are the typical large and medium-sizec myelinated fibers of spinal nerves.# Type B fibres are Myelinated, Pre-ganglionc autonomic# Type C fibers are the small unmyelinated nerve fiber: that conduct impulses at low velocities.Nerve Fibre Type and FunctionFiber typeFunctionA fiber aProprioception; Somatic motorbTouch, pressure, motorgMotor to muscle spindledPain, cold, touchB fiberPreganglionic AutonomicC fiber Dorsal rootPain, temperature, reflex responsesSympathetic rootPostganglionic sympathetic